Nephrocalcinosis is seen in -
1. Hypoparathyroidism
2. Medullary sponge kidney
3. DM
4. All

Correct answer: 2. Medullary sponge kidney

Explanation: Ans. is 'b' i.e., Medullary sponge kidneyo Deposition of calcium stones on renal papillae is called nephrocalcinosis.o Nephrocalcinosis seen in -Renal tubular acidosis type I (RTA). Bartter's syndrome Excess calcium intake Medullary sponge kidney Multiple myeloma Sarcoidosis Severe hypercalciuria Vitamin-D intoxication TB kidney (Love & Bailey) Hyperparathyroidism Metastatic bone disease